Goblet cells are not seen in:
1. Colon
2. Trachea
3. Conjunctiva
4. Esophagus

Correct answer: 4. Esophagus

Explanation: Ans. D: EsophagusThe goblet cells secrete mucus, a viscous fluid composed primarily of highly glycosylated proteins called mucins. Goblet cells are found scattered among other cells in the epithelium of many organs, especially in the intestinal and respiratory tracts.They are present in trachea, bronchus and larger bronchioles in respiratory tract, small intestines, the colon and conjunctiva in the upper eye lidIn some areas, their numbers are rather small relative to other cell types, while in tissues such as the colon, they are much more abundant